Most common cranial nerve to get compressed inincreased intracranial pressure -
1. Trigeminal
2. Trochlear
3. Facial
4. Abducens

Correct answer: 4. Abducens

Explanation: Ans. is 'd' i.e., AbducensAbducent nerve is the most commonly involved nerve in increased intracranial tension and in spinal anesthesia.At petrous apex, abducent nerve makes a sharp bend to pass through Dorello's canal beneath Gruber's ligament.